Diabetic ketoacidosis is said to be present if:
1. Hyperglycemia, heavy glycosuria, ketonemia, ketonuria, acidosis are present
2. Hyperglycemia, glycosuria, hyperkalemia and hypocalcemia are present
3. Hypoglycemia, hypokalemia, hypercalcemia, ketonemia are present
4. Hypoglycemia, ketonemia, ketonuria hypokalemia are present

Correct answer: 1. Hyperglycemia, heavy glycosuria, ketonemia, ketonuria, acidosis are present

Explanation: Ans. A. Hyperglycemia, heavy glycosuria, ketonemia, ketonuria, acidosis are presentDiabetic ketoacidosis is a metabolic derangement caused by the absolute or relative deficiency of the anabolic hormone insulin. Together with the major complication of cerebral edema, it is the most important cause of mortality and severe morbidity in children with diabetes. It is said to be exist if hyperglycemia (blood glucose >300mg/dl), heavy glycosuria, ketonemia (plasma ketones >3mmol/l), ketonuria and acidosis (plasma bicarbonate <15mEq/l)